Increased serum calcium is seen in all except:
1. Myxedema
2. Multiple myeloma
3. Sarcoidosis
4. Primary hyperparathyroidism

Correct answer: 1. Myxedema

Explanation: Answer is A (Myxoedema): Hypercakemia is a feature of Hyperthyroidism and not hypothyroidism (Myxoedema)